Intracranial calcification with cystic lesion in plain X-Ray skull is seen in
1. Meningioma
2. Glioma
3. Craniopharyngioma
4. Meduloblastoma

Correct answer: 3. Craniopharyngioma

Explanation: C i.e. Craniopharyngioma - Most common cause of intra cranial calcification = Pineal body calcificationQ - Most common calcifying brain tumor in child = CraniopharyngiomaQ > Oligodendroglioma - Craniopharyngioma causes characteristic suprasellar calcification with cystic appearanceQ - Craniopharyngioma arises from remnants of rathke's pouchQ (mesodermal structure from which anterior pituitary gland is derived) near pituitary stalk. It presents as suprasellar cystic lesion with a tendency for calcification (80%). It is the most common suprasellar tumor in childrenQ. -Medulloblastoma mostly arises from cerebellar vermis & Medulloblastoma of posterior fossa are the M. C. malignant brain tumor of childrenQ. Pilocytic (spindle shaped) low grade Astrocytoma is the most common brain tumorQ, most common posterior fossa tumor of childrenQ.